All of the following may be features of a silent carcinoma of the body of the stomach except ?
1. Obstructive jaundice
2. Ascites
3. Dysphagia
4. Krukenberg's tumours

Correct answer: 3. Dysphagia

Explanation: Ans. is 'c' i.e., Dysphagia Dysphagia is seen when cancer is present at cardia. Obstructive jaundice, Ascites and Krukenberg's tumor may occur due to metastasis from primary tumor in the body of stomach. (Obstructive jaundice occuring because of enlarged lymph nodes at porta hepatis) Dysphagia occurs when Ca involves the cardia.